Ground glass ventricular septum is seen in –
1. TOF
2. HOCM
3. TGA
4. CHF

Correct answer: 2. HOCM

Explanation: "Ground-glass" ventricular septum is seen in HOCM.